Most common association in MEN I is:
1. Gastrinoma
2. Insulinoma
3. Lipoma
4. Glucagonoma

Correct answer: 1. Gastrinoma

Explanation: MEN-1 syndrome Germ line mutations in the MEN1 tumor suppressor gene. This gene encodes for menin, Loss of menin leads to disregulation of the several transcription factor complexes, promoting Neoplasia. Components are:- (3Ps) Parathyroid Pancreas Pituitary MEN-1-associated pancreatic endocrine tumors:- Pancreatic polypeptide is the most commonly secreted product, however it is non functional. * In functional tumors, gastrinomas are the commonest.